A child presents with history of high fever for 4 days along with seizures. Rash develops on the trunk on the day after fever subsides. what is the most probable diagnosis?
1. Measles
2. Rubella
3. Roseola infantum
4. Erythema infectiosum

Correct answer: 3. Roseola infantum

Explanation: Fever history and rash dveloping after fever subsides points towards Roseola Infanterm / Erythema subitum caused by HHV - 6 / 7.